COTPA is a legislative act dealing with:
1. Child trafficking
2. Control of tobacco products
3. Child marriages
4. Dowry death

Correct answer: 2. Control of tobacco products

Explanation: COTPA (Cigarette and other Tobacco Products Act) was passed in 2003. The rules regarding smoking in public places came into action in 2008. Ref: Park 21st edition, page 416. Chapter: Health programme in India.